Most lipogenic:
1. Fructose
2. Glucose
3. Galactose
4. Ribose

Correct answer: 1. Fructose

Explanation: Unlike glucose, ingested fructose is preferentially metabolized by the liver. This and several other features of fructose metabolism make it an exceptionally lipogenic sugar.
Lipogenesis is increased when sucrose is fed instead of glucose because fructose bypasses the phosphofructokinase control point in glycolysis and floods the lipogenic pathway.
Increased dietary intake of fructose significantly elevates the production of acetyl CoA and lipogenes.
Harper Pg 236, Satyanarayana Pg 279